A female patient is posted for breast lumpectomy. She is taking herbal medicines since 2 years. What do you advice the patient regarding pre-operative orders.
1. Patient is deferred surgery
2. Advised to stop herbal medication 2 weeks prior to surgery
3. Continue the herbal medicine till the day of surgery
4. None.

Correct answer: 2. Advised to stop herbal medication 2 weeks prior to surgery

Explanation: Herbal medicines are stopped 2 weeks prior to surgery.